Synthesis of clotting factors needs which vitamin
1. A
2. K
3. D
4. E

Correct answer: 2. K

Explanation: K group Catalyze g carboxylation of glutamic acid residues on various proteins concerned with blood clottingRef: Ganong's Review of Medical Physiology Twenty-Third Edition Page No:466